Proper lip support for complete denture is provided primarily by:
1. Convex surface of labial flange
2. Facial surface of teeth and simulated gingiva
3. Thickness of border in the vestibule
4. Festooned carvings on facial surface

Correct answer: 2. Facial surface of teeth and simulated gingiva

Explanation: Proclination of maxillary anterior teeth and the surrounding denture base simulating the gingiva provided for the bulk for lip support in complete denture.